In Mutarotation, the optical rotation of a D Glucose is-
1. a) +1200
2. b) -1500
3. c) +1120
4. d) +1050

Correct answer: 3. c) +1120

Explanation: +1120 is the optical rotation of a D Glucose